Malassezia furfur causes
1. Subcutaneous mycoses
2. Superficial mycoses
3. Opportunistic mycoses
4. None of the above

Correct answer: 2. Superficial mycoses

Explanation: Malassezia furfur causes superficial mycoses involving stratum corneum of skin.